Treatment of orthostatic hypotension includes all except:
1. High salt and fluid intake
2. Physical countermaneuvers
3. Dopamine
4. Fludricoisone

Correct answer: 3. Dopamine

Explanation: Ans. C: Dopamine Orthostatic hypotension It is defined as sustained drop in systolic (at least 20 mm Hg) or diastolic (at least 10 mm Hg) BP within 3 minutes of standing. The first steps in treatment of orthostatic hypotension are diagnosis and management of the underlying cause. A patient with symptomatic orthostatic hypotension who has a disease with no complete or specific cure may benefit from nonpharmacologic interventions which includes: Increasing salt and fluid intake Elevate head of bed Learn physical countermaneuvers like sitting leg-crossing Compression garments Drug treatment if these measures are not sufficient includes: Prostaglandin inhibitors (ibuprofen/ indomethacin) drugs can be used to increase intravascular volume. The mineralocorticoid fludrocortisone may be used in some patients to expand intravascular volume. Its side effect is supine hypertension. Midodrine (alpha-1 agonist), a vasoconstrictor, is effective in some cases of orthostatic hypotension.Its side effect is supine hypertension. Erythropoietin has been used to treat autonomic failure associated with decreased red cell mass or anemia. Pyridostigmine appears to improve orthostatic hypotension without aggravating supine hypertension. Other agents used are Octreotide, hydralazine, procardia or nitroglycerin patch.